which is not a radiographic finding seen in CHF
1. Kerley B lines
2. Kerley A lines
3. Cardiomegaly
4. Oligemia

Correct answer: 4. Oligemia

Explanation: The typical findings of CHF on the plain radiograph are - Cardiomegaly; grade I, II, or III PVH; and increased central systemic venous volume, with enlargement of the mediastinal veins (including the azygous vein) and pleural effusions. ref : david sutton radiology